In normal delivery, breast feeding should be started -
1. 1\/2 hour after delivery
2. 2 hour after delivery
3. 4 hour after delivery
4. 6 hour after delivery

Correct answer: 1. 1\/2 hour after delivery

Explanation: Initiate breast feeding within half an hourbof birth in normal delivery.REF.PARK'S TEXTBOOK OF PREVENTIVE AND SOCIAL MEDICINE.Editon-21.Page no.-497